Burking includes:
1. Choking
2. Ligature
3. Overlaying
4. Traumatic asphyxia

Correct answer: 4. Traumatic asphyxia

Explanation: Ans. Traumatic asphyxia